Which line of death certificate represent major antecedent cause of death -
1. la
2. lb
3. Ic
4. II

Correct answer: 3. Ic

Explanation: Ans. is 'c' i.e.j Ic international death certificateo The basis of mortality data is death certificate.o For ensuring national and international comparability, it is necessary to have a uniform and standardized system of recording and classifying deaths.o For this purpose WHO has recommended international death certificate,o Consist of four lines:Line Ia: Disease or condition directly leading to deathLine Ib: Antecedent/ underlying causeLine Ic: Main antecedent f underlying causeLine II: Other significant conditions contributing to death but not related to disease/ condition causing ito Example of a death certificate:Line la: Renal failureLine lb: Diabetic nephropathyLine Ic: Diabetes mellitusLine II: Hypertensiono Concept of underlying cause, Line Ic is the most important line in death certificate, thus also known as'Essence of Death Certificate'.